All of the following statements about the splenic artery are true except that it:
1. Has a tortuous course
2. Is a branch of the celiac trunk
3. Has branches that anastomose freely within the spleen
4. Supplies the greater curvature of stomach

Correct answer: 3. Has branches that anastomose freely within the spleen

Explanation: C i.e. Has branches that anastomose freely with in the spleen